Not true regarding Argyll robeson pupil
1. Accomodation reflex present
2. Pupillary reflex present
3. Pupillary reflex absent
4. Seen in Tabes dorsalis

Correct answer: 2. Pupillary reflex present

Explanation: Pupillary reflex is absent in Argyll robeson pupil Argyll Robertson pupil Accomodation Reflex present Pupillary Reflex absent Seen in Tabes dorsalis, DM